A patient presented with unilateral proptosis, which was compressible and increases on ending forward. No thrill or bruit was present. MRI shows a retro-orbital mass with enhancement. The likely diagnosis is:
1. AV malformations
2. Orbital encephalocoecle
3. Orbital varix
4. Neurofibromatosis

Correct answer: 3. Orbital varix

Explanation: Ans. Orbital varix